Growth phase of hair is-
1. Anagen
2. Metagen
3. Telogen
4. None

Correct answer: 1. Anagen

Explanation: Anagen phase- active growth phase - 2-10years duration Catagen phase- regression phase- 3 weeks duration Telogen phase- resting phase- 3 months duration Ref Harrison20th edition pg 1234